A previously healthy 6 week old female infant is found unresponsive in her crib. In the emergency department, she is noted to be well developed and well nourished with normal blood pressure and appearance of the genitalia but with increased pigmentation of her skin. Blood glucose level is 30 mg/dL. The most likely diagnosis is aEUR'
1. CAH due to 21 alpha hydroxylase deficiency
2. Familial glucocorticoid deficiency
3. Cushing syndrome
4. Insulinoma

Correct answer: 2. Familial glucocorticoid deficiency

Explanation: Familial glucocorticoid deficiency Familial glucocorticoid deficiency is a rare autosomal recessive condition. It is characterized by adrenal insufficiency. The pathological examination of the adrenal gland reveals that:- This causes low cortisol concentration because the zona fasciculata is primarily responsible for glucocorticoid production. Because the zona glomerulosa is well preserved mineralocorticoid action is usually unaffected. Low circulating serum cortisol results in lack of feedback inhibition to the hypothalamus which results in increased ACTH secretion from pituitary. Clinical features Zona glomerulosa --> well preserved Zona fasciculata atrophied Zona reticularis --> atrophied Patients with familial glucocorticoid deficiency generally presents with signs and symptoms of "adrenal insufficiency" with the important distinction that mineralocorticoid production is always normal. The most common initial presenting sign is "deep hyperpigmentation" of the skin, mucous membrane or both as a result of the action of adrenocorticotrophic hormone (ACTH) on cutaneous melanocyte stimulating hormone (MSH) receptors. The symptoms are compatible with glucocorticoid deficiency. Many patients presents with recurrent hypoglycemia or severe infections. - In the neonatal period, frequent presenting signs include - feeding problems, failure to thrive, regurgitation and hypoglycemia manifesting as seizures